Radioactive phosphorus is used in the treatment of –
1. Polycythemia
2. Thyroid metastasis
3. Multiple myeloma
4. Embrynal cell carcinoma

Correct answer: 1. Polycythemia

Explanation: Amongst the given options, Radioactive phosphorus has a well-established role in polycythemia vera. It has also been tried in multiple myeloma, however, its use for this is still debatable.